Which of the following is not a serotonin-norepinephrine reuptake inhibitor?
1. Venlafaxine
2. Duloxetine
3. Milnacipran
4. Tianeptin

Correct answer: 4. Tianeptin

Explanation: Ref: KDT 8th ed *Tianeptin enhances the reuptake of serotonin rather than inhibiting it whereas the other drugs mentioned in the options inhibit the reuptake of serotonin and nor-epinephrine.